All are true regarding Helicobacter pylori except -
1. Less prevalent in developing countries
2. Toxigenic strains usually causes ulcers
3. Urea breath is positive
4. Gram negative organism

Correct answer: 1. Less prevalent in developing countries